The egg which of the following parasites consist of polar filaments arising from either end of the ambrophore -
1. Taenia saginata
2. Taenia solium
3. Echinococcus granulosus
4. Hymenolepis nana

Correct answer: 4. Hymenolepis nana

Explanation: egg spherical or oval contains a smooth thin colorless outer membrane and an inner membrane the space between the 2 membranes contains yolk granules and 4 to 8 polar filaments arising from two knobs on embryophore (refer pgno:108 baveja 3 rd edition)